M.C.site of Atopic dermatitis –
1. Scalp
2. Elbow
3. Antecubital fossa
4. Trunk

Correct answer: 3. Antecubital fossa

Explanation: Sites of itching patch in atopic dermatitis
Infant Face (especially cheeks), extensors of forearm & legs.
Childhood & adult → Flexures (antecubital fossa, Popliteal fossa).